Risk factors for developing melanoma is all except:
1. Cafe-au-lait spots
2. Sunburns
3. Family history
4. Dysplastic Nevus

Correct answer: 1. Cafe-au-lait spots

Explanation: FACTORS ASSOCIATED WITH INCREASED RISK OF MELANOMA * Dysplastic nevi (10-fold increased risk) Total body nevi (higher number = higher risk) Family or personal history Ultraviolet exposure/sunburns/tanning booths Light skin/hair/eye colour Poor tanning ability Freckling CDKN2A, CDK4, MITF mutations MC1R variants